The heart to the activated sludge process is ?
1. Primary sedimentation tank
2. Sludge digester
3. Aeration tank
4. Final settling tank

Correct answer: 3. Aeration tank

Explanation: Ans. is 'c' i.e., Aeration tank orT The heart of the activated sludge process is aeration tank.